Hypertonic dysfunctional labour is characterised by which of the following :
1. Fetal distress occurs early
2. Reaction to oxytocin is favorable
3. Sedation is of little value
4. Occurs more frequently than hypotonic labour

Correct answer: 1. Fetal distress occurs early

Explanation: Fetal distress occurs early